All the following muscles are innervated by facial nerve EXCEPT
1. Occipito- frontalis.
2. Anterior belly of digastric.
3. Risorius.
4. Procerus.

Correct answer: 2. Anterior belly of digastric.

Explanation: Ans. is 'b' i.e. Anterior belly of diagastric Anterior belly of digastric is supplied by nerve to mylohyoid (br. of mandibular)Muscles supplied by Facial N.All facial muscles except levator palpebrae superioris (it is supplied 3rd N)Post belly of Digastric StapediusStylohyoid Occipito frontalis Platysma Auricular musclesNote: Procerus and Risorius are muscles of face